Which one of the following statements truly represents Bell's paralysis:
1. Hemiparesis and contralateral facial nerve paralysis
2. Combined paralysis of the facial, trigeminal, and abducens nerves
3. Idiopathic ipsilateral paralysis of the facial nerve
4. Facial nerve paralysis with a dry eye

Correct answer: 3. Idiopathic ipsilateral paralysis of the facial nerve

Explanation: Bells paralysis is a LMN type of facial nerve palsy of unknown etiology i.e. idiopathic nature.Lower motor neuron type of palsy causes ipsilateral paralysis therefore bells palsy causes ipsilateral facial paralysis.Other neurological examinations are normal in Bells palsy